In alcohol withdrawal, drug of choice is: REPEAT
1. TFP
2. Chlormethazole
3. Chlordiazepoxide
4. Buspirone

Correct answer: 3. Chlordiazepoxide

Explanation: Essentials of medical pharmacology ;k.d tripathi ; 7th edition; pg.no. 393 ; Psychological & medical supportive measures are needed during withdrawal .Many CNS depressant like barbiturates ,phenothiazines ,chloral hydrate have been used as substitution therapy in past (to suppress withdrawal syndrome) but benzodiazepine (chordiazepoxide ,diazepam ) are preferred drugs now.